Pseudopolyps are features of –
1. Crohn's disease
2. Ulcerative colitis
3. Celiac sprue
4. Whipple's disease

Correct answer: 2. Ulcerative colitis

Explanation: Ulcerative colitis

Ulcerative colitis is an inflammatory bowel disease characterized by -


Inflammation involving only the mucosa and submucosa
Formation of pseudopolyps
Involvement is in a continuous fashion (absent of skip lesions which are characteristic of CD)


Ulcerative colitis involves the rectum and extends proximally in a retrograde fashion to involve the entire colon (pancolitis) in more severe cases.